All contribute to postpartum hemorrhage, except:
1. Epidural analgesia
2. Small for date
3. Prolonged labour
4. High multiparity

Correct answer: 2. Small for date

Explanation: Small for date